Which is not a feature of Edwards' syndrome?
1. Intellectual disability
2. Stunting of growth
3. Hypotonia
4. Congenital disease

Correct answer: 3. Hypotonia

Explanation: Edwards' syndrome (trisomy 18) 47,XY,+18 or 47,XX,+18 Early lethality, characteristic skull and facies, frequent malformations of heart, kidney and other organs Ref - Davidson 23e pg 44